Which is not a site for accessory spleen?
1. Greater omentum
2. Tail of pancreas
3. Along splenic artery
4. Presacral region

Correct answer: 4. Presacral region

Explanation: The most common locations for accessory spleens are the hilum of the spleen and adjacent to the tail of the pancreas. They may be found anywhere along the splenic vessels, in the gastrosplenic ligament, the splenorenal ligament, the walls of the stomach or intestines, the pancreatic tail, the greater omentum, the mesentery or the gonads and their path of descent. Splenosis is a condition where foci of splenic tissue undergo autotransplantation, most often following physical trauma or splenectomy.